All of the following appear to decrease hot flushes in menopausal women except:
1. Androgens
2. Raloxifene
3. Isoflavones
4. Tibolone

Correct answer: 2. Raloxifene

Explanation: Raloxifene A non steroidal compound,a selective estrogen receptor modulator(SERM)which reduces the risk of fracture by 50%,10%reduction of cholesterol, raises HDL level.Cardioprotective in nature. Low risk of endometrial and breast cancer, Side effects are hot flushes,cramps,increased incidence of venous thrombosis ,retinopathy SHAW'S TEXTBOOKOF GYNAECOLOGY,PG NO:73,16th edition